All of the following are true about Listeria except ?
1. Transmitted by contaminated milk
2. Gram negative bacteria
3. Cause abortion in pregnancy
4. Causes meningitis in neonates

Correct answer: 2. Gram negative bacteria

Explanation: Ans. is 'b' i.e., Gram negative bacteria Listeria mococytogenes Morphology . Gram positive . Coccobacillus with tendency to occur in chains. . Exhibits characteristic, slow, tumbling motility when grown at 25degC but at 37degC is non motile. This is because peritrichous flagella are produced by the bacillus optimally at 20-30degC but only scantily or not at all at 37degC.